If a private practitioner is convinced that the patient is suffering from homicidal poisoning, he is bound to inform the police or magistrate under.
1. Section 39 CrPC
2. Section 176 CrPC
3. Section175 CrPC
4. Section 41 CrPC

Correct answer: 1. Section 39 CrPC

Explanation: - If a private practitioner is convinced that the patient is suffering from homicidal poisoning, he is bound to inform the police or magistrate under Section 39 CrPC - Non-compliance is punishable under Section 176 IPC.